Protein of muscle which helps in relaxation is
1. Nebulin
2. Titin
3. Desmin
4. Calcineurin

Correct answer: 2. Titin

Explanation: Titin Location: Reaches from the Z line to the M line.Function: Largest protein in the body. Role in relaxation of the muscle.Ref: Harper's Biochemistry; 30th edition; Chapter 51 Muscle & the Cytoskeleton